Which of these is not true regarding bone removal during impacted third molar extraction?
1. Low speed low torque drill is used for bone removal
2. Bone is removed from buccal, occlusal and sometimes distal aspects of the impacted tooth
3. Bone removal from lingual aspect of tooth is not advisable
4. Bone removal is accompanied by continous copious irrigation to removal bone debris from bur and keep the temperature under control

Correct answer: 1. Low speed low torque drill is used for bone removal

Explanation: The electric drill used is always high speed with high or low torque